Restorative material which decreases the tensile strength and fracture toughness of dentin, when used during RCT:
1. Calcium hydroxide.
2. EDTA.
3. Sodium hypochlorite.
4. All of the above.

Correct answer: 4. All of the above.